Fertilised ovum reaches uterine cavity by :
1. 3 to 4 days after fertilisation
2. 6 to 7 days after fertilisation
3. 7 to 9 days after fertilisation
4. 1 to 2 days after fertilisation

Correct answer: 1. 3 to 4 days after fertilisation

Explanation: Fertilization takes place at the ampullary end of the Fallopian tube, the ovum is then transported by the contractions of the tube into the uterine cavity, aided by the fluid current imparted from ciliated epithelium. The morula enters the uterine cavity about 3 days after fertilization. Reference : Williams Textbook of Obstetrics 24th edition page 89